Best indicator of iron deficiency
1. Serum iron
2. Serum ferritin
3. TIBC
4. Transferrin

Correct answer: 2. Serum ferritin

Explanation: In iron deficiency anemia, ferritin content is reduced. When iron is given in anemia, the apoferritin production is induced within a few hours. vii. Estimation of ferritin in chronic kidney disease (CKD) is of prognostic significance since ferritin level less than 100 microgram/dl indicates iron deficiency. Transferrin saturation less than 20% and ferritin between 100 and 200 microgram/dl is suggestive of functional deficiency. In order to treat the anemia in CKD, the iron stores should be adequate and this is denoted by serial ferritin estimations in a patient on treatment to check the efficacy of treatment with recombinant erythropoietinRef: DM Vasudevan, page no: 425